Which of the following configuration is used in designing an RPD with Kennedy — Class II edentulous arch?
1. Bilateral
2. Tripod
3. Quadrilateral
4. Unilateral

Correct answer: 2. Tripod